The only condition amongst the following associated with cystoid macular edema is?
1. Overuse of ocular analgesics
2. Glaucoma
3. Central Retinal Vein Occlusion
4. Topical steroid therapy

Correct answer: 3. Central Retinal Vein Occlusion

Explanation: Ans. (c) Central Retinal Vein OcclusionRef : A.K. Khurana 6th ed. /214, 271, 294CYSTOID MACULAR EDEMA (CME)* Collection of fluid in the outer plexiform (Henle's layer) a nuclear layer of the retina is called CME.* It is associated with Central Retinal Vein Occlusion/ post operative complication of cataract extraction and penetrating keratoplasty/ diabetic retinopathy/ Retinitis pigmentosa* Minimal to moderate loss of vision is seen.* It is best examined with slit lamp/+90D lens* Ophthalmoscopy shows "honeycomb appearance" of macula.* Fundus flurorescein angiography shows "flowerpetal appearance".* Treatment of underlying primary cause and drugs (topical steroids triamcinofone/ topical NSAIDs like flurbiprofen) is beneficial.Also Know* 100 day glaucoma' is seen with CRVO* CATTLE TRUCK appearance seen with CRAO* IRVIN GASS SYNDROME is seen with post cataract CME